The function of grit chamber in modern sewage plants is
1. Formation of sludge
2. Removal of floating large objects
3. Settlement of heavy objects
4. Formation of Zoogleal layer

Correct answer: 3. Settlement of heavy objects